Which embryonic structure forms philtrum of upper lip
1. Maxillary process
2. Mandibular process.
3. Medial nasal process.
4. Lateral nasal process.

Correct answer: 3. Medial nasal process.